A 26 year old man was admitted with electrolyte disturbances. Which among the following is not seen in primary hyperaldosteronism?
1. Diastolic hypertension
2. Pedal edema
3. Polyuria
4. Hypokalemia

Correct answer: 2. Pedal edema

Explanation: Pedal edema is not seen in primary hyperaldosteronism. The difference between primary and secondary hyperaldosteronism is the level of renin. The common clinical scenarios in which the possibility of aldosteronism should be considered include the following: Patients with spontaneous or unprovoked hypokalemia, especially if the patient is also hypertensive. Patients who develop severe and/or persistent hypokalemia in the setting of low to moderate doses of potassium-wasting diuretics. Patients with refractory hypertension (HTN).